Characterstic of basal cell carcinoma is:
1. Keratin pearls
2. Foam cells
3. Nuclear palisading
4. Psammoma bodies

Correct answer: 3. Nuclear palisading

Explanation: Basal cell carcinomas are composed of islands or nests of basaloid cells (i.e. cells resembling cells in the normal basal cell layer of the epidermis), with palisading of the cells at the periphery and a haphazard arrangement of those in the centers of the islands. The tumor cells have a hyperchromatic nucleus with relatively little, poorly defined cytoplasm. 
Other options:
Keartin pearls- seen in squamous cell carcinoma
Foam cells- seen in Xanthoma
Psammoma bodies- seen in papillary thyroid carcinoma